When a surgeon wants to send the autopsy specimen for virological examination, it should be preserved in:
1. 50% glycerine
2. 10% formalin
3. Rectified spirit
4. Saturated solution of common salt

Correct answer: 1. 50% glycerine

Explanation: A i.e. 50% Glycerine 50% glycerine(2 is used as preservative to send autopsy specimen for virological examination.